In mitral valve prolapse, the histological finding is:
1. Hyalinization of the valve
2. Fibrinoid necrosis
3. Myxomatous degeneration of the valve
4. None of the above

Correct answer: 3. Myxomatous degeneration of the valve

Explanation: MVP, also variously termed the systolic click murmur syndrome, Barlow's syndrome, floppy-valve syndrome, is a relatively common, but highly variable clinical syndrome resulting from diverse pathogenic mechanism of the mitral valve apparatus. Among these are excessive or redundant mitral leaflet tissue, which is commonly associated with myxomatous degeneration and greatly increased concentrations of acid mucopolysaccharide MVP is a frequent finding in patients with heritable disorders of connective tissue, including the Marfan syndrome. In most patients with MVP, however, myxomatous degeneration is confined to the mitral (or less commonly the tricuspid or aortic) valves without other clinical or pathologic manifestations of disease. The posterior leaflet is usually more affected than the anterior and the mitral valve annulus is often greatly dilated. In many patient, elongated redundant chordae tendineae cause or contribute to the regurgitation